Which of the following is a preventable cause of intellectual disability -
1. Hypothyroidism
2. Down syndrome
3. Cerebral palsy
4. All of the above

Correct answer: 1. Hypothyroidism

Explanation: Ans. is 'a' i.e., Hypothyroidism Adequate care for prevention of hypothyoid state can prevent intellectual disability in hypothyroidism. Down's syndrome and cerebral palsy are congenital causes of intellectual disability and prevention of intellectual disability would be possible only by prvention of the syndrome itself.